Micro-albuminuria refemsto
1. 20-200 mg/d
2. 200-500 mg/d
3. 30-300 mg/d
4. 300-500 mg/d

Correct answer: 3. 30-300 mg/d

Explanation: (30-300 mg/d) (249-H) (1077-8-CMDT-09)(272, 1533, 1792-H17th)* Currently, ultrasensitive dipsticks are available to measure microalbuminuria (30 to 300 mg/d), an early marker of glomerular disease that has been shown to predict glomerular injury in early diabetic nephropathy (249-H)* Normal subjects excrete less than 15 mg/min during overnight urine collections; values of 20 mg/min during or higher are considered to represent abnormal microalbuminuria. In the early morning spot urine, a ratio of albumin (mg/L) to creatinine (mg/L) of < 30 mg/mg creatinine is normal and a ratio of 30-300 mg/mg creatinine suggests abnormal microalbuminuria.* Increased microalbuminuria correlates with increased levels of blood pressure and increased LDL cholesterol, and this may explain why increased proteinuria in diabetic patients is associated with an increase in cardiovascular deaths even in the absence of renal failure (1186-CMDT-05)